Crescents are characteristic of
1. Membranous nephropathy
2. PSGN
3. MPGN
4. RPGN

Correct answer: 4. RPGN

Explanation: Crescents are histological characteristic of RPGN.